LGV is caused by -
1. Chalamydia trachomatis
2. Haemophylus ducrei
3. HTLV type II
4. Donovanosis granulomatis

Correct answer: 1. Chalamydia trachomatis

Explanation: Lymphogranuloma venerum is caused by Chlamydia Trachomatis, serovars L1, L2 and L3. From illustrated synopsis of dermatology and sexually transmitted diseases neena khanna 5th edition page no 330